Gamma radiations are used for sterilizing -
1. Syringes
2. Cystoscopes
3. Dressing aprons
4. Metal instruments

Correct answer: 1. Syringes